Plummer Vinson syndrome is characterized by all EXCEPT(764 H18
1. Glossitis
2. Oesophageal webs
3. Megaloblastic anemia
4. Oesophageal dysphagia

Correct answer: 3. Megaloblastic anemia

Explanation: (Megaloblastic anemia): (764- H18th edition)Plummer - Vinson or Pateron - Kelly syndrome - Presence of an esophageal web in association with glossitis and iron deficiency anemia congenital hyperkeratosis and pitting of the palms and soles (ie tylosis Palmaris et plantaris) have each been linked with squamous cell oesophageal cancer